What is metabolised like xenobiotics
1. Myoglobin
2. Bilirubin
3. Biliverdin
4. Haemoglobin

Correct answer: 2. Bilirubin

Explanation: Formation of bilirubin diglucuronide is a normal metabolic reaction for detoxification of bilirubin by phase 2 reactions.